True about synaptic vesicle is
1. Small Clear vesicle contain ACh & GABA
2. Small vesicle contain neuropeptides
3. Large vesicle contain dense core with glutamate
4. Small clear vesicle contain neuropeptides

Correct answer: 1. Small Clear vesicle contain ACh & GABA

Explanation: (A) Small Clear vesicle contain Ach & GABA # Inside the presynaptic terminal are many mitochondria, as well as many membrane-enclosed vesicles, which contain neurotransmitters. There are three kinds of synaptic vesicles: Clear synaptic vesicles that contain acetylcholine, glycine, GABA, or glutamate; small vesicles with a dense core that contain catecholamines; and large vesicles with a dense core that contain neuropeptides.